Which of the following drug is cell cycle phase specific?
1. Ifosfamide
2. Bleomycin
3. Cisplatin
4. Chlorambucil

Correct answer: 2. Bleomycin

Explanation: Ans. is 'b' i.e., Bleomycin Bleomycin is specific for G2 phase. o Alkylating agents (Ifosfamide, chlorambucil) and platinum compound (cisplatin) are cell cycle nonspecific.